Which of the following anti-thyroid drugs are safe in pregnancy
1. Carbimazole
2. Iodine
3. Propylthiouracil
4. Methimazole

Correct answer: 3. Propylthiouracil

Explanation: PTU is safe after 1st trimester of pregnancy for hyperthyroidism In 1st trimester -it causes liver damage in the fetus liver will develop by the end of 1st trimester so PTU can be given from 2nd trimester